In late stages of systemic sclerosis may have all the given features, EXCEPT:
1. Pulmonary artery hypertension
2. Interstitial lung diserase
3. Primary biliary cirrhosis
4. Primary sclerosing cholangitis

Correct answer: 4. Primary sclerosing cholangitis

Explanation: Late stages of limited systemic sclerosis patients may develop Pulmonary arterial hypertension (PAH), Interstitial lung disease, Hypothyroidism, Primary biliary cirrhosis Raynaud's phenomenon and other typical features of systemic sclerosis occur in the absence of detectable skin thickening in some patients. This syndrome is been termed SSc sine scleroderma. Ref: Harrison, E-18, P- 2757.